Most common joint to undergoe recurrent dislocation ?
1. Shoulder joint
2. Patella
3. Knee joint
4. Hip joint

Correct answer: 1. Shoulder joint

Explanation: Recurrent dislocation: In some, joints proper healing does not occur after the first dislocation. This results in weakness of the supporting structures of the joint so that the joint dislocates repeatedly, often with trivial trauma. Recurrent dislocation of the shoulder and patella are common. among shoulder anterior type of dislocation is common Ref: Maheshwari 9th ed pg 55